Which of the following is seen in infant of a diabetic mother
1. Hyperglycemia
2. Anaemia
3. Hypermagnesemia
4. Hypocalcemia

Correct answer: 4. Hypocalcemia

Explanation: Clinical features in Infant of diabetic mother:-
Neonatal hypoglycemic
Macrosomia
Polycythemic
Hyperbilirubinaemia
Hypocalcemia
Hypomagnesemia